MC site of injury to the ureter during a hysterectomy is:
1. At the pelvic brim
2. In the ovarian fossa
3. Site of crossing by the uterine artery
4. As it enters the bladder

Correct answer: 3. Site of crossing by the uterine artery

Explanation: Ans. C i.e. Site of crossing by the uterine artery